Which of the following plasma proteins is not synthesized primarily in liver?
1. Angiotensinogen
2. C-reactive protein
3. Angiotensin converting enzyme
4. Fibrinogen

Correct answer: 3. Angiotensin converting enzyme

Explanation: Ans. (c) Angiotensin II converting enzyme* The lungs also activate one hormone; the physiologically inactive decapeptide angiotensin I is converted to the pressor, aldosterone-stimulating octapeptide angiotensin II in the pulmonary circulation. The reaction occurs in other tissues as well, but it is particularly prominent in the lungs.* Large amounts of the angiotensin-converting enzyme responsible for this activation are located on the surface of the endothelial cells of the pulmonary capillaries.